TDM (Therapeutic Drug Monitoring) is done for all of the following except:
1. Theophylline
2. Lithium
3. Metformin
4. Phenytoin

Correct answer: 3. Metformin

Explanation: TDM is done for drugs which have narrow therapeutic index or in cases where effect of drugs cannot be measured clinically. Metformin is a antidiabetic drug whose effect can be monitored using blood sugar levels.